All the following conditions cause thrombocytopenia except -
1. Giant hemangioma
2. Infectious mononucleosis
3. HIV infection
4. Iron deficiency anemia

Correct answer: 4. Iron deficiency anemia

Explanation: CAUSES OF THROMBOCYTOPENIA
DECREASED PRODUCTION OF PLATELETS
Selective impairment of platelet production

Drug-induced: alcohol, thiazides, cytotoxic drugs
Infections: measles, human immunodeficiency virus (HIV)

Nutritional deficiencies

B12, folate deficiency (megaloblastic anemia)

Bone marrow failure
Aplastic anemia
Bone marrow replacement

Leukaemia, disseminated cancer, granulomatous disease

Ineffective hematopoiesis

Myelodysplastic Syndromes

DECREASED PLATELET SURVIVAL

Immunologic destruction
Primary autoimmune


Chronic immune thrombocytopenic purpura
Acute immune thrombocytopenic purpura


Secondary autoimmune 

SLE, B cell lymphoid neoplasms

Alloimmune : post-transfusion and neonatal
Drug-associated: quinidine, heparin, sulfa compounds
Infections: HIV, infectious mononucleosis (transient, mild), dengue fever
Non-immunologic destruction

Disseminated intravascular coagulation
Thrombotic microangiopathies
Giant hemangiomas
SEQUESTRATION

Hypersplenism

DILUTION

Transfusion